A 3 year old male child came to casualty with a bat bite on face.Categorize the wound for rabies post exposure prophylaxis
1. Category 1
2. Category 2
3. Category 3
4. Category 4

Correct answer: 3. Category 3

Explanation: Ref:Park's Textbook of Preventive and Social Medicine 25th Ed pg.305